Smooth endoplasmic reticulum is associated with:
1. Steroid synthesis
2. Storage of calcium
3. Detoxification
4. All

Correct answer: 4. All

Explanation: Functions of smooth endoplasmic reticulum are: Steroid synthesis Calcium storage in muscle Detoxification in liver Ref:Guyton and Hall textbook of medical physiology 12th edition,page number:12